Cutting of the pituitary stalk decreases all of the following hormones except -
1. ACTH
2. GH
3. Prolactin
4. FSH

Correct answer: 3. Prolactin